Regarding the Royal College of Anaesthetists 4th National Project , True statement is
1. Airway complications in intensive care resulted in death or disability in less than 20% of cases
2. End-tidal CO2 monitoring (capnography) is not always necessary for intubation
3. Regular audit of airway complications should occur
4. Transfer of an intubated patient is deemed low risk for airway complications

Correct answer: 3. Regular audit of airway complications should occur

Explanation: Only 20% of the total cases reported to the NAP4 involved intensive care unit (ICU) patients. However, when airway complications did occur within the ICU, they were more likely to be associated with a much higher incidence of death or severe disability (61%), when compared to the anesthesia or emergency department. Capnography is paramount for monitoring anyone with an endotracheal tube or tracheostomy. It may prevent significant harm by indicating oesophageal intubation or displacement of tracheostomy or endotracheal tube and is recommended by the Royal College of Anaesthetists as a standard of care in the UK. Regular audit and education are important to improve staff awareness and patient care when dealing with any intubated/tracheostomised patient. All staff undertaking any routine movement/turns or transfer of intubated patients, need to be alert to the potential risk of airway displacement and have an established management plan if this were to occur.Reference: RCOA/DAS. 4th National Audit Project, 2011. Major complications of airway management in the UK. The Royal College of Anaesthetists and the Difficult AirwaySociety.